True about Arboviruses is
1. Yellow fever is endemic in India
2. Dengue has only one serotype
3. KFD was first identified in West Bengal
4. Chikungunya is transmitted by Aedes aegypti

Correct answer: 4. Chikungunya is transmitted by Aedes aegypti

Explanation: Ans is 'd' i.e. Chikungunya is transmitted by Aedes aegypti Arbovirus (arthropod borne) is a term used to refer to a group of viruses that are transmitted by arthropod vectors. Most important vectors are mosquitos and ticks.These viruses are maintained in nature principally, or to an important extent through biological transmission between susceptible vertebrate hosts by hematophagous arthropods; they multiply in the tissues of arthropods, and are passed on to new vertebrates by the bites of arthropod after a period of incubation.Although arboviruses are many, only a small number of them are known to be capable of producing disease. A high proportion of the infection is inapparent. Three clinical syndromes have been described:Febrile illness- Chikungunya, DengueHaemorrhagic fever- Dengue, Chikungunya, KFDEncephalitis- Japanese encephalitisChikungunya virus is transmitted to humans by Aedes mosquito (commonly Aedes aegypti). Yellow fever does not exist in India.Yellow fever is largely confined to Central and South America and Africa.Dengue has four serotypesFour types of dengue virus exist-DENI, DEN2, DEN3, DEN4.KFD was first identified in Karnataka.In 1957, several dead monkeys were noticed in Kyasanur forest in Karnataka along with a severe prostrating illness in some of the villagers in the area.